Which amongst the following biological agents carries the least potential for use as a biological weapon for microbial terrorism
1. Plague (Yersinia pestis)
2. Small pox (variola major)
3. Botulism (Cl. Botulinum)
4. Brucellosis (Brucella sp)

Correct answer: 4. Brucellosis (Brucella sp)

Explanation: * Plague, small pox and botulism are category A bioterrorism agents. * Brucella is category B Ref: Baveja textbook of microbiology; 4th edition